True about MRI are all except -
1. Not helpful in breast implant
2. Not good for calcified lesions
3. No radiation exposure
4. Contraindicated in cardiac pacemaker

Correct answer: 1. Not helpful in breast implant

Explanation: option A is false regarding MR, explanation : MRI is considered most sensitive to detect implant rupture.